Small bowel vascular ectasia is associated with:
1. Retroviral infection
2. Amyloidosis
3. Chronic renal failure
4. Watermelon stomach

Correct answer: 3. Chronic renal failure

Explanation: Vascular Ectasias Vascular ectasias are flat mucosal vascular anomalies They are best diagnosed by endoscopy. They generally causes slow intestinal blood loss Classical example is: gastric antral vascular ectasia (GAVE) or "watermelon stomach" Other examples are: a) Cecal vascular ectasias (senile lesions) b) Radiation-induced rectal ectasias Argon plasma coagulation is an effective method of controlling bleeding. MUST KNOW: Patients with diffuse small-bowel vascular ectasias is associated with chronic renal failure and with hereditary hemorrhagic telangiectasia. Ref: Harrison, Edition-18, Page-2417.